One of the following dental notations is known as universal notation
1. Zsigmondy notation
2. Cunningham notation
3. Navy notation
4. Palmar notation

Correct answer: 2. Cunningham notation